A 30-year-old man is diagnosed with a blockage of arterial flow in the proximal part of the thoracic aorta. Brachial arterial pressure is markedly increased, femoral pressure is decreased, and the femoral pulses are delayed. The patient shows no external signs of inflammation. Which of the following structures failed to develop normally?
1. Second aortic arch
2. Third aortic arch
3. Fourth aortic arch
4. Fifth aortic arch

Correct answer: 3. Fourth aortic arch

Explanation: The fourth aortic arch develops into the aortic arch on the left side and the brachiocephalic and subclavian arteries on the right side of the embryo. Improper development of the arch of the aorta will cause an increased pressure in the subclavian artery and, subsequently, the brachial artery. Similarly, decreased flow through the aorta will lead to a decreased pressure in the femoral artery. The second aortic arch, specifically the dorsal aspect, develops into aspects of the small stapedial artery. The proximal part of the third aortic arch gives rise to the common carotid arteries, which supply the head. The fifth aortic arch is said not to usually develop in human embryos. The proximal part of the sixth aortic arch develops into the left pulmonary artery.